Strongest bond amongst the following is
1. Hydrophobic
2. Electrostatic
3. Hydrogen bond
4. Wander wall's

Correct answer: 2. Electrostatic

Explanation: B i.e. Electrostatic